In frey's syndrome, neurotransmitter is:
1. Acetylcholine.
2. Epinephrine.
3. Norepinephrine.
4. Serotonin.

Correct answer: 1. Acetylcholine.